All can cause Hepatic granuloma, EXCEPT:
1. Quinidine
2. Sulfonamide
3. Carbamazepine
4. Carbon tetrachloride

Correct answer: 4. Carbon tetrachloride

Explanation: Hepatic granulomas are caused by certain drugs Eg: Quinidine, diltiazem Sulfonamides Carbamazepine Phenylbutazone Allopurinol Carbon tetrachloride causes toxic necrosis of the hepatocyte Ref: Harrison, Edition-18, Page-2562